False regarding larvae of anopheles ?
1. Long siphon tube
2. Parallel to water
3. Palmate hairs
4. None of the above

Correct answer: 1. Long siphon tube

Explanation: Ans. is 'a' i.e., Long siphon tube